Atonic PPH is not seen in
1. Multiple pregnancy
2. Hydramnios
3. Erythroblastosis fetalis
4. Prolonged labour

Correct answer: 3. Erythroblastosis fetalis

Explanation: Causes of Atonic PPH: Multiparity Overdistention of abdomen Malnutrition and anemia Antepartum hemorrhage Prolonged labor Anesthesia Initiation or augmentation of delivery by oxytocin Malformation of uterus Uterine fibroid Mismanaged third stage of labor Precipitate labor Ref: Dutta Obs 9e pg 385.